Duration of treatment in pauci bacillary leprosy is
1. 6 months
2. 9 months
3. 2 years
4. Till sumptoms subside

Correct answer: 1. 6 months

Explanation: A. i.e. 6 months